Pancytopenia with hypercellular marrow may be seen due to all of the following except:
1. Myelodysplasia
2. Paroxysmal Nocturnal Hemoglobinuria
3. Dyskeratosis congenita
4. Sarcoidosis

Correct answer: 3. Dyskeratosis congenita

Explanation: Answer is C (Dyskeratosis Congenita ) Dyskeratosis congenita (constitutional aplastic anemia) is associated with Pancytopenia and a Hypocellular bone marrow Myelodysplasia, PNH and Sarcoidosis may all be associated with Pancytopenia and a cellular bone marrow